Which of the following is not a calcium channel blockers
1. Enalapril
2. Nifedipine
3. Verapamil
4. Diltiazem

Correct answer: 1. Enalapril

Explanation: Refer kDT 7/e p562 Calcium channel blockers are prescription medications that relax blood vessels and increase the supply of blood and oxygen to the heart while also reducing the heart's workload. Examples of calcium channel blockers include: Amlodipine (Norvasc)